Punishment for issuing a false certificate is
1. 4 years
2. 5 years
3. 6 years
4. 7 years

Correct answer: 4. 7 years

Explanation: Section 197 IPC: Issuing or signing the false certificate: Classification of Offence: Punishment: The same as for giving or fabricating false evidence. Cognizable or Non-cognizable :Non-cognizable Bailable or Non-bailable :Bailable. By Which Court Triable: Court by which offence of giving false evidence is triable. Whoever issues or signs any certificate required by law to be given or signed, or relating to any fact of which such certificate is by law admissible in evidence, knowing or believing that such certificate is false in any material point, shall be punished in the same manner as if he gave false evidence (punishment up to 7 years). The Indian Penal Code 1860: Chapter XI: Of False Evidence And Offences Against Public Justice : Section 191 IPC Giving false evidence Section 192 IPC Fabricating false evidence Section 193 IPC Punishment for false evidence Section 197 IPC Issuing or signing a false certificate Section 201 IPC Causing disappearance of evidence of the offence, or giving false information to screen offender Section 202 IPC Intentional omission to give information of offence by person bound to inform Ref: 1.Dr K.S.Narayana Reddy, The Essentials of Forensic Medicine and Toxicology, 34th edition, page no: 53. 2. The Indian Penal Code, 1860.